Which of the following statement(s) is/are true?
1. Oedema & tenderness over the anatomical snuffbox is the pathognomonic features of Fracture of the scaphoid
2. Normally the radial styloid is 1/2 lower than the ulnar
3. Dinner fork deformity is characteristic of Colle's fracture
4. All of the above

Correct answer: 4. All of the above

Explanation: Tenderness and fullness in anatomical snuffbox is pathognomonic for scaphoid fracture.
The tip of the radial styloid is about 1 cm distal to the tip of the ulnar styloid.
Dinner fork deformity is seen in colles fracture.